A common electrolyte used for plating copper indirect dies is:
1. Copper cyanide
2. Ionic copper
3. Acidic copper sulfate
4. Silver cyanide

Correct answer: 3. Acidic copper sulfate